All ceramic crowns are not indicated for young children because of:
1. Short clinical crown height
2. Root formation is not completed
3. Pulp horns are wide and high
4. Maintenance of oral hygiene is difficult

Correct answer: 3. Pulp horns are wide and high